Which of the following is done for the quick diagnosis of Erythrasma ?
1. Biopsy
2. KOH examination
3. Culture and sensitivity
4. Wood's lamp examination

Correct answer: 4. Wood's lamp examination

Explanation: Ans is'd i.e. Wood's lamp examination(Ref. IADVL text book of dermatology 3d/e p. 236).Erythrasma is caused by infection by Coryneform bacteria.Wood's lamp examination is a commonly used test to diagnose Erythrasma.Lesion shows coral red fluorescence dre to coproporphyrin III production by the bacteria.